Cardinal feature of antisocial personality disorder is:
1. Violation of rules of society
2. Attention-seeking behavior
3. Unstable interpersonal relationships
4. Grandiose behavior

Correct answer: 1. Violation of rules of society

Explanation: People with antisocial PD(Dissoscial PD) characteristically disregard rights of others, don't follow norms of society and indulge in antisocial behavior . These person have lack of guilt and remorse and more prone to substance use. It is a type of Cluster B - PD MX - Psychotherapy, Antipsychotics, Carbamazepine ,beta blockers